Which of the following statement is NOT true about p53 protein?
1. It is present on chromosomes 17
2. It causes cell cycle arrest in G1
3. 53 KDa
4. Non mutated wild p53 is associated with neoplasm in childhood

Correct answer: 4. Non mutated wild p53 is associated with neoplasm in childhood

Explanation: The tumor suppressor p53, a protein of apparent MW 53 kDa. The gene for human p53 cellular tumor antigen is located on chromosome 17 short arm (17p13). When DNA Is damaged, the p53 protein accumulates in cells. It first arrests the cell cycle (at the G1 phase) to allow the DNA to be repaired before it is replicated. A cell with damaged DNA that cannot be repaired is directed by p53 to either enter senescence or undergo apoptosis. In view of these activities, p53 has been called the 'guardian of the genome'. With homozygous loss of the TP53 gene, DNA damage goes unrepaired, mutations become fixed in dividing cells, and the cell turns to malignant transformation. Ref: Robbins Basic Pathology By Vinay Kumar, Abul K. Abbas, Nelson Fausto, Richard Mitchell, 2012, Page 20, 185-187